Rhinitis medicamentosa is caused by excessive use of ?
1. Topical decongestants
2. Topical steroids
3. Systemic decongestants
4. Systemic steroids

Correct answer: 1. Topical decongestants

Explanation: Ans. is 'a' i.e., Topical decongestants Rhinitis medicamentosa Caused by excessive use of topical decongestant nasal drops. It is treated by withdrawal of nasal drops, short course of systemic steroid therapy and in some cases surgical reduction of turbinates, if they have become hypertrophied.